Primary impact injury (1deg) most commonly seen in:
1. Head
2. Thorax
3. Legs
4. Abdomen

Correct answer: 3. Legs

Explanation: Ans. Legs